In Toxoplasmosis, man is:
1. Paratenic host
2. Intermediate host
3. Definitive host
4. Temporary host

Correct answer: 2. Intermediate host

Explanation: Ans: b (Intermediate host)Ref: C K Jayaram Panicker's Textbook of Medical Parasitology, 6th ed. Pg. 3, 99-100* Definitive host - the host in which adult stage lives or sexual mode of reproduction takes place.* Intermediate host -the species in which the larval stage of the parasite lives or the asexual multiplication takes place.* Paratenic host - a vertebrate host in which a parasite merely remains viable without development or multiplication* Man is the definitive host for most human parasitic infections (eg: filarial, round worm, hook worm ) and intermediate host in some cases (eg: malaria, hydatid disease, toxoplasmosis)* In toxoplasmosis, cats are the definitive host and man the intermediate host* Humans get toxoplasmosis by eating uncooked infected meat with tissue cysts, ingestion of mature oocysyts, and intrauterine infection or rarely by blood transfusion.